If death of a married women occurs within 7 years of her marriage, the inquest is done by:
1. Police
2. Magistrate
3. Coroner
4. None

Correct answer: 2. Magistrate

Explanation: ANSWER: (B) MagistrateREF: Parikh 6th edition page 1.7Magistrate inquest means an inquiry conducted by a magistrate to ascertain the matter of fact. It is commonly held in following cases.Admission of a mentally ill person in a psychiatry hospital or a psychiatric nursing home under certain provisions of Mental health act 1987Death of a convict in jailDeath of a person in police custody or police interrogationDeath as a result of police shooting/ killingExhumation casesDowry deaths (ie with in 7 years of marriage) (Section 176 CrPC)